Interstitial keratitis is caused by all except -
1. TB
2. HSV
3. EBV
4. Pertussis

Correct answer: 4. Pertussis

Explanation: INTERSTITIAL KERATITISInterstitial keratitis denotes an inflammation of thecorneal stroma without primary involvement of theepithelium or endothelium.Causes. Its common causes are:  Congenital syphilis  Tuberculosis  Cogan's syndrome  Acquired syphilis  Trypanosomiasis  Malaria  Leprosy  Sarcoidosis REF:Comprehensive ophthalmology,4th edition,pg no.120